A patient with peptic ulcer disease undergone billroth 2  gastrectomy. Later the patient presented with postprandial pain. On endoscopy oedematous and inflamed gastric mucosa has been found. What is the  preferred diagnosis
1. Alkaline gastritis
2. Dumping syndrome
3. Gastroparesis
4. None of the above

Correct answer: 1. Alkaline gastritis

Explanation: Reflex of duodenal juices into the stomach after billroth surgery e will cause inflamed gastric mucosa. Treatment of choice is roux en y gastrojejunostomy.